2nd pharyngeal arch is supplied by
1. Mandibular
2. Facial
3. Glossopharyngeal
4. Recurrent laryngeal

Correct answer: 2. Facial

Explanation: B. i.e. (Facial) (109-LB. Singh Embryo 8th)ArchNerve of archMuscles of archFirstMandibular- Tensor tympani, tensor palate, medial and lateral pterygoids, masseter, temporalis, mylohyoid, anterior belly of digastric **SecondFacial- Stapedius stylohyoid, posterior belly of digastric**, muscles of face, auricular muscles, occipito- frontalis, platysmaThirdGlossopharyngeal- StylopharyngeusFourthSuperior laryngeal Muscles of pharynxSixthRecurrent laryngeal Soft palate and larynxThe cartilage of the second arch forms the following* Stapes* Styloid process* Stylohyoid ligament* Smaller (lesser) cornu of hyoid*** Superior part of body of hyoid